Vasopressin is secreted by which nucleus of hypothalamus?
1. Suprachiasmatic nucleus
2. Dorsomedial nucleus
3. Paraventricular nucleus
4. Premamillary nucleus

Correct answer: 3. Paraventricular nucleus

Explanation: (C) Paraventricular nucleus # Hormones of the posterior pituitary gland are synthesized in the cell bodies of the magnocellular neurons in the supraoptic and paraventricular nuclei and transported down the axons of these neurons to their endings in the posterior lobe, where they are secreted in response to electrical activity in the endings.> Some of the neurons make oxytocin-containing and vasopressin-containing cells are found in both nuclei.